Subdural haematoma most commonly results from
1. Rupture of intracranial aneurysm
2. Rupture of cerebral AVM
3. Injury to cortical bridging veins
4. Hemophilia

Correct answer: 3. Injury to cortical bridging veins

Explanation: C i.e. Rupture of cortical bridging veins